Bulbourethral glands open into which part of the Urethra?
1. Membranous
2. Spongy
3. Prostatic
4. Intramural

Correct answer: 2. Spongy

Explanation: The mucus-secreting bulbourethral glands are situated posterolateral to the membranous part of the urethra. But, they open into spongy part of the urethra.